True generalized microdontia is characterized by
1. Small teeth with large jaws
2. Small teeth with small jaws
3. Smaller teeth than the normal
4. Large teeth with small jaws

Correct answer: 3. Smaller teeth than the normal